Carpal tunnel contains all except ?
1. Median nerve
2. FDS tendon
3. FPL tendon
4. FCU tendon

Correct answer: 4. FCU tendon

Explanation: Ans. is 'd' i.e., FCU tendon The carpal tunnel is a narrow rigid passage way of ligament and bones at the base of hand, in front of distal part of wrist. The carpal tunnel contains nine tendons and a nerve: the flexor pollicis longus, the four flexor digitorum superficialis, the four flexor digitorum profundus as well as the median nerve